All are atypical ribs except
1. I
2. II
3. IX
4. X

Correct answer: 3. IX

Explanation: The first 7 ribs which are connected through their cartilages to the sternum are called true ribs, or vertebrosternal ribs. The remaining five are false ribs. Out of these the cartilages of the eighth, ninth and tenth ribs are joined to the next higher cartilage and are known as vertebrochondral ribs. The anteriorends of the eleventh and twelfth ribs are free and are called floating ribs or vertebral ribs.The first two and last three ribs have special features and are atypical ribs. The third to ninth ribs are typical ribs.Ref: BD Chaurasia; Volume 1; 6th edition